Clavipectoral fascia is pierced by all except?
1. Lateral pectoral nerve
2. Median pectoral nerve
3. Thoracoacromial vessels
4. Cephalic vein

Correct answer: 2. Median pectoral nerve

Explanation: CLAVIPECTORAL FASCIA: Is a fibrous sheet situated deep to the clavicular portion of the pectoralis muscle. It extends from the clavicle above to the axillary fascia below. Its upper part splits to enclose the subclavius muscle. The posterior lamina is fused to the investing layer of the deep cervical fascia and to the axillary sheath. Inferiorly, the clavipectorial fascia splits to enclose the pectoralis minor muscle. Medially, it is attached to the external intercostal muscle of upper intercostal spaces and laterally to the coracoid process./ Below this muscle, it continues as the suspensory ligament which is attached to the dome of the axillary fascia and helps to keep it pulled up. THE CLAVIPECTORIAL FASCIA IS PIERCED BY THE FOLLOWING STRUCTURES: Lateral pectoral nerve cephalic vein thoracoacromial artery lymphatics passing from the breast and pectoral region to the apical group of axillary lymph nodes. REF: BD Chaurasia 8th edition page no:45.